Which of the following is used for the fixation of cervical smear?
1. Ethyl alcohol
2. Acetone
3. Xyline
4. Formalin

Correct answer: 1. Ethyl alcohol

Explanation: Rapid fixation of smears is necessary to preserve cytologic detail of cells spread on a glass slide that are to be stained by the Papanicolaou method. If smears are allowed to air dry prior to fixation, marked distortion of the cells occurs. Ninety-five percent ethyl alcohol (ethanol) is used for this type of fixation. This method is useful for, Vaginal smear Cervical smear Endometrial aspiration smears Prostatic smears Breast smears Aspiration biopsy smears Ref: Koss' Diagnostic Cytology and Its Histopathologic Bases edited by Leopold George Koss, Myron R. Melamed, 2006, Page 1570.